Most common malignancy found in Marjolins ulcer is
1. BCC
2. SCC
3. Malignant fibrous histiocytoma
4. Malignant melanoma

Correct answer: 2. SCC

Explanation: Marjolin's ulcer is a well-differentiated squamous cell carcinoma which occurs in chronic scars like burn scar, scar of venous ulcer. It is relatively avascular and hence grows slowly. As scar tissue does not contain lymphatics and nerves, it will not spread to lymph nodes and it is painless respectively. Once it reaches the normal skin it behave like any other SCC, it will spread to lymph nodes. Wide excision is treatment of choice. Radiotherapy should not be given as it may turn into poorly differentiated squamous cell carcinoma. Reference : page 290 SRB's manual of surgery 5th edition